Prostrate contains:
1. Only glandular tissue
2. Only fibromuscular tissue
3. Glandular tissue and fibromuscular tissue
4. Glandular tissue covered with transitional epithelium

Correct answer: 3. Glandular tissue and fibromuscular tissue

Explanation: The prostate is a fibromuscular glandular organ composed of glands and stroma. These glands represent the terminal tubular portions of long tubuloalveolar glands that radiate from the urethra. The glands are lined by two cell layers: an outer low cuboidal layer and an inner layer of tall columnar mucin-secreting epithelium. Fibromuscular stroma between the glands accounts for about half of the volume of the prostate.